A vibration perceptile on palpation is
1. Detritus
2. Fremitus
3. Auscultatus
4. Somnatus

Correct answer: 2. Fremitus